The mode of inheritance of incontinentia pigment is :
1. Autosomal dominant
2. Autosomal recessive
3. X- linked dominant
4. X- linked recessive

Correct answer: 3. X- linked dominant

Explanation: C i.e. X linked dominant